A diagnostic test for a particular disease has a sensitivity of 0.90 and a specificity of 0.90. A single test is applied to each subject in the population in which the diseased population is 10%. What is the probability that a person positive to this test, has the disease?
1. 90%
2. 81%
3. 50%
4. 91%

Correct answer: 3. 50%

Explanation: BAYES' THEORM In the given question, Sensitivity=0.90=90% Specificity=0.90=90% Prevalence=10% PPV = (Sensitivity*Prevalence)/ + * 100 Thus, PPV=90*10/ + *100 = 50%(0.50)